World diabetes day is celebrated on -
1. 8th may
2. 8th march
3. 14th November
4. 1st december

Correct answer: 3. 14th November

Explanation: Ans. is 'c' i.e., 14th November* 8th may - world red cross day* 8th march - international womens day* 14th november - world diabetes day* 1st december - world AIDS day